Wich of the following tuberculids is characterized by involvement of sweat glands, and hair follides with noncaseating epitheloid granuloma -
1. Lichen Scrofulosorum
2. Miliary Tuberculosis
3. Paoulonecrotic type
4. Lupus vulgaris

Correct answer: 1. Lichen Scrofulosorum

Explanation: lichen scrofulosorum is characterised by perifollicular non caseaating tuberculoid granulomas. iadvl textbook of dermatology page 247